In which of the following Arbiskov cells are seen ?
1. Myelodysplastic syndrome
2. Multiple myeloma
3. Granulocytic sarcoma
4. Leukemia cutis

Correct answer: 3. Granulocytic sarcoma

Explanation: Granulocytic Sarcoma Also known as Choloroma or myeloblastoma. It is a hematopoietic stem cell tumour. It is an extramedullary tumor of immature granulocytic series cells. It is a localised tumour forming a mass in the skin of orbital & periorbital tissue due to infiltration of tissues by leukemic cells. It is most commonly associated with AML M2 Arbiskov cells are monocytes which can be seen in choloroma.